True about Lyonisation of X chromosome:
1. Inactivation of X chromosome only in somatic cell
2. Inactivation of X chromosome only in germ cell
3. Inactivation of X chromosome in somatic & germ cell both
4. Maximun number of Barr body is equal to X chromosome

Correct answer: 1. Inactivation of X chromosome only in somatic cell

Explanation: Answer- A. Inactivation of X chromosome only in somatic cellIn female, one of two X-chromosome (either paternal or maternal) is inactivated during embryogenesis as stated in Lyon hypothesis.This inactivation is passed to all the somatic cell while the germ cells in the female remain unaffected.